Vision is not affected in?
1. Corneal ulcer
2. Papilloedema
3. Optic atrophy
4. Retinal Detachment

Correct answer: 2. Papilloedema

Explanation: Ans. is 'b' i.e., Papilloedema * Vision is normal initially. In 25% of patients visual symptoms occur only in advanced severe papilloedema, when optic atrophy sets in. Typically, there is recurring brief episodes (transient) of visual obscurations (Amaurosis fugax) lasting less then 30 seconds, in which vision turns grey or blacks, sometimes decribed as if a veil has fallen over the eyes. The symptoms usually affect both eyes at once as papilloedema is bilateral. Central vision is affected late in the disease. Initially there is enlargement of blind spot and progressive contraction of the visual field (visual field becomes smaller). Complete blindness sets in eventually. Thus, characteristically there is gradually progressive painless loss of vision.